Hardness of water is due to all except:
1. Sulfates
2. Chlorides
3. Nitrates
4. Phosphates

Correct answer: 4. Phosphates

Explanation: Hardness of water Temporary hardness (carbonate hardness) is due to calcium & magnesium salts of bicarbonates. Permanent hardness (non - carbonate hardness) is due to calcium & magnesium salts of sulfates, chlorides, nitrates. Four main compounds causing hardness: calcium bicarbonates, magnesium bicarbonates, calcium sulfates, magnesium sulfates.